In a pregnant woman with heart disease, all of the following are to be done except :
1. IV methergin after delivery
2. Prophylactic antibiotic
3. IV frusemide postpartum
4. Cut short 2nd stage of labour

Correct answer: 1. IV methergin after delivery

Explanation: Ans. is a i.e. IV methergin after delivery